A 24 years old farm worker is rushed to, a nearby emergency department after an accidental exposure to parathion. Which of the following drugs can be given to increase the activity of his acetyl cholinesterase:
1. Atropine
2. Dimercaprol
3. Physostigmine
4. Pralidoxime

Correct answer: 4. Pralidoxime